In portal hypertension the sites of portosystemic anastomosis includes
1. Lower end of oesophagus
2. Around umbilicus
3. Lower third of rectum and anal canal
4. All of the above

Correct answer: 4. All of the above

Explanation: In portal hypertension the sites of portosystemic anastomosis includes lower end of esophagus, around umbilicus, lower third of rectum and anal canal, posterior abdominal wall, bare area of liver Portosystemic anastomosis Location Portal component Systemic component Esophagus(lower end) esophageal varices Left gastric vein Azygous vein and accessory hemiazygous vein Rectum and anal canal hemorrhoids Superior rectal vein Middle and Inferior rectal vein Umbilicus caput medusae Left branch of portal vein(paraumbilical branches) Superficial (superior and Inferior) epigastric veins Posterior abdominal wall Colic and omental veins Retro peritoneal veins of abdominal wall, renal capsule, splenic and hepatic flexure Bare area of liver Hepatic venues, right branch of portal vein Phrenic and intercostal veins, Retro peritoneal veins draining into lumbar, Azygous and hemiazygous veins Liver(rarely) Patent ducts venous, Left branch of portal vein Inferior vena cava